Which is an effect of fillers in composite is:
1. Increased thermal expansion.
2. Decreased thermal expansion.
3. Increased thermal contaction.
4. Increased polymerization shrinkage.

Correct answer: 2. Decreased thermal expansion.

Explanation: Fillers in composite
Generally between 30% to 70% by volume or 50% to 85% by weight of a composite
Benefits of Fillers
Reinforcement- compressive strength, tensile strength, modulus of elasticity (i.e., stiffness or rigidity), and toughness

Reduction of polymerization shrinkage/contraction
Reduction in thermal expansion and contraction
Control of workability/viscosity
Decreased water sorption
Imparting radiopacity